CoA requires -
1. Pantothenic group
2. Biotin
3. Folic acid
4. Cabalamine

Correct answer: 1. Pantothenic group

Explanation: Ans. is 'a' i.e., Pantothenic acido Pantothenic acid consists of pantoic acid and b-alanine.o It is a building block of coenzyme-AQ and acyl-carrier protein (ACP : phosphopantotheine group in fatty acid synthase).o It acts as pantetheineQ functional unit of these two coenzvmes, which (pantetheine) is formed by combination of pantothenate with cysteine5 and provides thiol (-SH) prosthetic group of CoA and ACPQ.o CoA takes part in citric acid cycle, fatty acid oxidation, acetylation5 and cholesterol synthesis.o ACP takes part in fatty' acid synthesis.